Genetic risk factors for leukemia are all except-
1. Down's syndrome
2. Bloom syndrome
3. Ataxia telangiectasia
4. None

Correct answer: 4. None

Explanation: Ans. is 'None' Genetic conditions predisposing to leukemia Down syndrome Diamond-Blackfan anemia Turner syndrome Fanconi syndrome Klinefelter syndrome Neurofibromatosis type 1 Bloom syndrome Schwachman syndrome Paroxysmal nocturnal hemoglobinuria Li-Fraumani syndrome Ataxia - telangiectasia Severe combined immune deficiency